Preanesthetic medication is used for A/E :
1. Decrease of anesthetic dose
2. Decrease BP
3. Prevent aspiration
4. Produce amnesia for peri-operative events

Correct answer: 2. Decrease BP

Explanation: B i.e. Decrease BP